The etiology of angioedema is:
1. a) Sensitivity to acrylic resin
2. b) Using ACE inhibitors
3. c) Hereditary
4. All of the above

Correct answer: 4. All of the above